Mitochondria of a sperm is seen in ?
1. Head
2. Neck
3. Body
4. Tail

Correct answer: 3. Body

Explanation: Mitochondrial granules are seen enveloping the spiral threads around the axial filament present in the body of the sperm. Sperm: The human sperm possesses a head, a neck, a connecting piece or body, and a tail.Head is oval or elliptical, but flattened,its anterior two-thirds are covered by a layer of modified protoplasm, which is named the head-cap, which probably facilitates the, entrance of the spermatozoon into the ovum. The head contains a mass of chromatin, regarded as the nucleus of the cell surrounded by a thin envelope.Neck contains the anterior centriole, it is situated at the junction of the head and neck.Connecting piece or body is rod-like. The posterior centriole is placed at the junction of the body and neck, from this centriole an axial filament runs backward through the body and tail. The sheath of the axial filament is encircled by a spiral thread, around which is an envelope containing mitochondrial granules, and termed the mitochondrial sheath.Tail is of great length, and consists of the axial thread or filament, surrounded by its sheath, but mitochondria is absent.Ref: Gray's Anatomy of the Human Body, 20th Edition, Page 756